In which of the following locations, there is collection of pus in the quinsy:
1. Peritonsillar space
2. Parapharyngeal space
3. Retropharyngeal space
4. Within the tonsil

Correct answer: 1. Peritonsillar space

Explanation: Quinsy is collection of pus in the peritonsillar space which lies between the capsule of tonsil and superior constrictor muscle i.e. peritonsillar abscess.